Oxidative deamination is catalyzed by ?
1. Glutaminase
2. Glutamine synthase
3. Glutamate dehydrogenase
4. None of the above

Correct answer: 3. Glutamate dehydrogenase

Explanation: Ans. is 'c' i.e., Glutamate dehydrogenase